The following immunoglobulin DOES NOT fix to complement -
1. IgE
2. IgM
3. IgG3
4. IgG1

Correct answer: 1. IgE

Explanation: Complement is a complex of nine different fractions, C1 to C9. All classes of immunoglobulin do not fix complement. - only IgM,IgG 3,1 and 2 fix complement. - IgG 4, IgA, IgD or IgE do not fix complement Reference : Anathanarayan & paniker's 9th edition, pg no:120